Bubus form is which stage of LGV:
1. Prmary
2. Secondary
3. Tertiary
4. Latent

Correct answer: 2. Secondary

Explanation: Ans. is. 'b' i. e., Secondary